All of the following are true about Ondansetron except?
1. Drug of choice for chemotherapy induced vomiting
2. Dopamine antagonist
3. 5HT3 antagonist
4. Acts on CTZ

Correct answer: 2. Dopamine antagonist

Explanation: Ans. is 'b' i.e., Dopamine antagonist Ondansetron is 5-HT3 receptor antagonist at CTZ and NTS, as well as in GIT.